A 36 year-old female complains of sudden onset of feeling of pounding heart, apprehension and excessive sweating. She fears that she is about to die. Which of the following is the likely diagnosis?
1. Conversion Disorder
2. Generalised Anxiety Disorder
3. Panic attack
4. Specific Phobia

Correct answer: 3. Panic attack

Explanation: Panic attack is a discrete period of intense fear or discomfort. It is characterised by some of the following symptoms of palpitation, sweating, shaking, shortness of breath, fear of impending death, chest pain or discomfort, nausea or abdominal pain, feeling unreal (realization) and detached (depersonalisation), fear of loosing control, hot flushes and other physical symptoms like paraesthesias. Women are 2-3 times more likely to suffer from a panic disorder. Ref: Dissociation and the Dissociative Disorders: DSM-V and Beyond, Edited by Paul F. Dell, John A. O'Neil, 2009, Pages 430-431; Loewenstein & Putnam, 2004.